Tick transmits all except -
1. Relapsing fever
2. Tick typhus
3. Chagas disease
4. Viral encephalitis

Correct answer: 3. Chagas disease

Explanation: Chaga's disease: It is transmitted by reduviid bugs.They are also called conenose bugs, they are of large size. Adults have wings. These bugs live exclusively on the blood of animals including man and transmit Trypanosoma cruzi, the causative agent of Chaga's disease. Ticks are ectoparasites of vertebrate animals. They transmit tick typhus, viral encephalitis, viral fevers, tularemia, tick paralysis, Q fever, relapsing fever, KFD. Description: Vector Diseases transmitted Soft tick Relapsing fever, Q fever, KFD (outside India) Hard tick Tularemia, Babesiosis, KFD (India), Tick paralysis, Tick encephalitis, Indian tick typhus, Tick hemorrhagic fever, Rocky Mountain spotted fever. REF: PARK'S TEXTBOOK OF PREVENTIVE AND SOCIAL MEDICINE, 25TH EDITION, PG NO. 841